True about histology in infilterating lobular breast carcinoma-
1. Single file pattern
2. Pleomorphic cells in sheets
3. Cribriform pattern
4. Pin wheel pattern

Correct answer: 1. Single file pattern

Explanation: Ans. is 'a' i.e., Single file patterno Histological hallmark of invasive lobular breast carcinoma is pattern of single infilterating tumor cells often only one cell in width or in loose clusters or sheets.